Intestinal polyps that have highest potential to grow into cancer
1. Inflammatory polyp
2. Adenomatous polyp
3. Hyperplastic polyp
4. Hamaomatous polyp

Correct answer: 2. Adenomatous polyp

Explanation: Classification of intestinal polypsInflammatory Inflammatory polyps (pseudopolyps in UC)Metaplastic Metaplastic or hyperplastic polypsHamaomatous Peutz-Jeghers polypJuvenile polypNeoplastic AdenomaTubularTubulovillousVillousAdenocarcinomaCarcinoid tumourRef: Bailey and Love, 27e, page: 1259